S. 304 A IPC deals with-
1. Causing death by negligence
2. Perjury
3. Grievous hurt
4. Abetment of suicide

Correct answer: 1. Causing death by negligence

Explanation: Ans. is 'a' i.e., Causing death by negligence Section 304 A I PC o Causing death by negligence: Whosoever causes the death of any person, by doing any rash or negligent act not amounting to culpable homicide shall be punished with imprisonment for a term which may extend to 2 years or with fine, or with both. Note: o Section 304 IPC: Punishment for culpable homicide not amounting to murder.